The type of spatula used to mix composite is:
1. Plastic
2. Stainless steel
3. Iron
4. None of the above

Correct answer: 1. Plastic